Dwarf tapeworm is the common name of which of the following
1. Echinococcus multilocularis
2. Hymenolepis nana
3. Taenia saginata
4. Taenia solium

Correct answer: 2. Hymenolepis nana

Explanation: Hymenolepis nana is commonly known as dwarf tapeworm The name hymenolepis refers to the thin membrane covering the egg(greek: hymen -membrane,lepis-covering,nana (nanus) -dwarf) Ref: panikers textbook of Medical parasitology 8th edition page :136